Primary Adrenal Insufficiency causes all of the following, Except
1. Low Blood Pressure
2. Decrease in ECF
3. Decreased sodium potassium ratio
4. Increased protein breakdown

Correct answer: 4. Increased protein breakdown

Explanation: Answer is D (Increased protein breakdown): Increased protein breakdown is a feature of increased amounts of glucocorticoids (Cortisol excess; Cushing's) and is not seen in glucocorticoid deficient states like Adrenal insufficiency.